Which of the following gland is known as a master of endocrine gland orchestra:
1. Pituitary gland.
2. Hypothalamus
3. Thyroid gland.
4. Adrenal gland.

Correct answer: 1. Pituitary gland.

Explanation: It is so called because, it controls thyroid, mammary glands, adrenal cortex and gonads etc.